Which of the following is not a criteria suggesting casuality in non communicable diseases?
1. Strength of association
2. Dose response relationship
3. Specificity of association
4. Lack of temporal association

Correct answer: 4. Lack of temporal association

Explanation: The presence of temporal association is included among the criteria designed by Sir Austin Bradford Hill in order to suggest causality in non-communicable diseases. Thus this criteria can distinguish between casual and non casual associations. Temporal association is based on the fact that the suspected cause should precede the observed effect. Ref: Park's Textbook of Preventive and Social Medicine By K. Park, 19th Edition, Pages 83-4; Encyclopedia of Epidemiologic Methods By Mitchell H. Gail, Jacques Benichou, Pages 428-430